Australia antigen is associated with:
1. Hepatitis B surface antigen in acute hepatitis
2. AIDS
3. Chronic leukemia
4. Basal cell carcinoma

Correct answer: 1. Hepatitis B surface antigen in acute hepatitis